Most common malignancy arising in the thyroglossal cyst is
1. Follicular
2. Papillary
3. Medullary
4. Anaplastic

Correct answer: 2. Papillary

Explanation: Thyroglossal CystContains clear to a cloudy fluid with sparse cellularityThe cystic background contains few if any epithelial cellsSome inflammatory cells and crystals might be presentRarely malignant transformation occurs in about 1% of the casesMost common malignancy arising is papillary carcinoma followed by squamous cell carcinomaRef: PL Dhingra, Diseases of Ear, Nose & Throat, 7th edition, pg no. 378 - 379